Mycotic abscesses are due to
1. Bacterial infection
2. Fungal infection
3. Viral infection
4. Mixed infection

Correct answer: 2. Fungal infection

Explanation: As the name suggests, mycotic abscesses are caused by fungal infections.
However remember that mycotic aneurysm is a misnomer and is caused due to bacterial infection of arterial wall. The infection weakens the wall to cause aneurysm formation (Organisms are usually Staphylococcal, streptococcal, or salmonella)